All the following decrease skeletal muscle tone by CNS effects except:
1. D-tubocurarin
2. Diazepam
3. Beclofen
4. Mephensin

Correct answer: 1. D-tubocurarin